What is the proof of eyes being open for few hours after death -
1. Kevokian sign
2. Tache noir
3. Both of the above
4. None of the above

Correct answer: 2. Tache noir

Explanation: If eyes are open for few hours after death a film of cell debris and mucus forms two yellow triangles on sclera which turns brown then black. This is tache noir. Kevorkian sign is fragmentation of blood column in retinal vessels which occur in few minutes after death and last for an hour. Ref: K.S.Narayan Reddy's Synopsis of Forensic Medicine and Toxicology, 29th edition, Chapter 7, page 83.